For which one of the following has the cytotoxic effect of vitamin on human lymphocytes in vitro at high concentration been reported –
1. Vitamin A
2. Vitamin D
3. Vitamin E
4. Vitamin K

Correct answer: 3. Vitamin E